Cadaveric spasm involves-
1. Voluntary muscles
2. Involuntary muscles
3. Both voluntary muscles
4. Smooth muscles

Correct answer: 1. Voluntary muscles

Explanation: Ans. is 'a' i.e., Voluntary muscles Cadaveric spasm/ instantaneous rigor/cataleptic rigidity The muscles that were contracted during life become stiff & rigid immediately after death without passing into stage of relaxation. It occurs in voluntary muscles & is limited to single group of muscles. It cannot be produced by any method after death & very great force is required to overcome it. It may be explained on the basis of diminished or exhausted ATP in the affected muscles due to excessive use of muscles. Eg firearm wound of the head, sudden death, excitement, fear, severe pain, exhaustion, cerebral hemorrhage & injury to nervous system. Medicolegal importance: tells about mode of death- homicide or death.